Which of the following drug causes Pseudotumour cerebri -
1. Sparfloxacin
2. Tetracycline
3. Gentamicin
4. Clofazimine

Correct answer: 2. Tetracycline

Explanation: Ans. is 'b' i.e., Tetracycline Drugs causing Pseudotumour cerebri o A miodarone o Mineralocorticoids (withdrawl) o Oral contraceptives o Glucocorticoids (withdrawl) o Hypervitaminosis A o Tetracyclines o Quinolones